Apixaban is:
1. Antithrombin inhibitor
2. Direct Xa inhibitor
3. Platelet activator
4. Clotting Factor XII

Correct answer: 2. Direct Xa inhibitor

Explanation: Ref. KDT. Page. 617
Apixaban is an oral, direct, and highly selective factor Xa (FXa) inhibitor (of both free and prothrombinase-bound FXa independently of antithrombin III) for the prevention and treatment of thromboembolic diseases

Apixaban prolongs clotting tests such as prothrombin time (PT), INR, and activated partial thromboplastin time (aptt)
Apixaban is absorbed in the stomach and small intestine
87% plasma protein bound.
Apixaban mainly undergoes o-demethylation and hydroxylation to metabolites
Grapefruit juice may increase apixaban serum concentration.
St. John's wort will likely decrease apixaban serum concentration